Which of the following statements about Corynebacterium diphtheria is false
1. Toxin production is mediated by native chromosome
2. Organism may be identified by tests for toxigenicity
3. Toxin acts by inhibiting protein synthesis
4. Toxin may affect the heart and nerves

Correct answer: 1. Toxin production is mediated by native chromosome

Explanation: The toxigenicity of diphtheria bacillus depends on the intercellular presence of corynephage (tox+), which acts as the genetic determinant controlling toxin production. The toxin produced by all the strains of the diphtheria bacilli is qualitatively similar. The standard strain almost universally used for toxin production is the Park-Williams 8 strain. The toxin acts by inhibiting protein synthesis. It has a special affinity for certain tissues such as myocardium, adrenals and nerve endings. Reference: Textbook of Microbiology; Anathanarayan and panicker's; 10th edition; Page no: 240